Age estimation from teeth can be done by all the following methods, except:
1. Gustafson's method
2. Miles' method
3. Boyde's method
4. Frame's method

Correct answer: 4. Frame's method

Explanation: Ans. Frame's method